Arrange the radiographic findings of Congestive Heart Failure in sequential order with earlier changes first and advanced findings later. 1. Kerley Lines 2. Cephalisation 3. Equalisation of Upper Lobe and Lower lobe vessels 4. Batwing appearence
1. 3-2-1-4
2. 3-2-4-1
3. 4-3-1-2
4. 1-3-2-4

Correct answer: 1. 3-2-1-4

Explanation: Equalisation of Upper Lobe and Lower lobe vessels | Cephalisation | Kerley Lines | Batwing appearance